Cytochrome P450 is name derived from -
1. Molecular weight 450D
2. Produced by 450 genes
3. Absorbs light at 450 nanometres
4. Have 450 isoforms

Correct answer: 3. Absorbs light at 450 nanometres

Explanation: Ans. is 'c' i.e., Absorbs light at 450 nanometres o Cytochrome P450 got its name because it strongly absorbs light at 450 nanometres, which is blue is visible spectrum.